A person presents with following parameters PCO3- 30 mm of Hg, P02- 105 mm of Hg, pH-7.45 is having partially compensated
1. Metabolic acidosis
2. Metabolic alkalosis
3. Respiratory acidosis
4. Respiratory alkalosis

Correct answer: 4. Respiratory alkalosis

Explanation: Ans. d. Respiratory alkalosis In the question, pH is 7.45 and PCO, is 30 mm Hg. Overall change is slightly alkaline. Respiratory change is also alkaline. So the diagnosis is respiratory alkalosis Acid Base Disorders pH < 7.35 is acidosis; pH >7.45 is alkalosis 1degchange in HCO3 is termed as Metabolic (Normal HCO3= 22-30 mEq/I) If change in HCO3is in keeping with the pH (i.e. if there is acidosis and HCO3-is decreased) the problem is metabolic one. If change in HCO3 is opposite with the pH (i.e. if there is acidosis and HCO3 is increased or normal) the problem 1deg change in CO2 is termed as Respiratory (Normal CO2= 35-45 mEq/1) If change in CO, isin keeping with the pH (i.e. if there is acidosis and CO, is increased) the problem is respiratory. If change in CO, is in opposite with the pH (i.e. if there is acidosis and CO, is decreased or normal) the problem is termed as compensatory respiratory